Decreased mineralization of Epiphyseal plate in a growing child is seen in -
1. Rickets
2. Osteomalacia
3. Scurvy
4. Osteoporosis

Correct answer: 1. Rickets

Explanation: Defective mineralization is seen in both rickets and osteomalacia.
However, the question is about defective mineralization in the Epiphyseal plate (growth plate/physics) in a growing child, which is seen in rickets.
Osteomalacia is a disease of the mature skeleton when physis (epiphyseal plate) has already been fused. There is no physics (epiphyseal plate) in a mature bone.